Most common orbital tumors in children is
1. Retinoblastoma
2. Rhabdomyosarcoma
3. Melanoma
4. Chloroma

Correct answer: 2. Rhabdomyosarcoma

Explanation: Rhabdomyosarcoma is a tumor arising from the pleuripotential mesenchymal cells which later develops in striated muscle Refer khurana 6/e